Iceberg phenomena is not seen in -
1. Measles
2. AIDS
3. Polio
4. Rubella

Correct answer: 1. Measles

Explanation: Ans. is 'a' i.e., Measles Iceberg phenomena is not seen in rabies, tetanus and measles.